Adenoma sebaceum is a feature of -
1. Neurofibromatosis
2. Tuberous sclerosis
3. Xanthomatosis
4. Incontinenetia pigmenti

Correct answer: 2. Tuberous sclerosis

Explanation: Adenoma sebaceum is characteristic of tuberous sclerosis. IADVL textbook of dermatology page 139.